The following are characteristic of tumour lysis syndrome except -
1. Hyperkalemia
2. Hypercalcemia
3. Hyperuricemia
4. Hyperphosphatemia

Correct answer: 2. Hypercalcemia

Explanation: Tumour Lysis Syndrome More common with NHL, Myeloma and acute leukaemia management Rapid tumour cell death releases intracellular contents resulting in hyperkalaemia, hyperphosphataemia, hyperuricaemia and renal failure. Prevention is with adequate hydration and Allopurinol 300-600 mg QID PO Sodium bicarbonate 50 mEq/L IV fluid, Alkalinize the urine above pH 7 to prevent uric acid nephropathy. Indications for dialysis. S. K+ > 6 mEq/L S. Uric acid > 10 mg/dl S. Creatinine > 10 mg/dl S. Phosphate > 10 mg/dl Increasing symptomatic hypocalcaemia. R ALAGAPPAN MANUAL OF PRACTICAL MEDICINE 4TH EDITION PAGE NO-757